Nodal and lefty2 gene is associated with:
1. Cardiac looping
2. Intestinal loopin
3. Cardiac septation
4. None of the above

Correct answer: 1. Cardiac looping

Explanation: Cardiac looping is dependent in part upon the laterality-inducing genes nodal and lefty2 Ref: Langman's embryology 11th edition Chapter 12.